All of the following drugs are used for eradication of Helcobacter pylori except -
1. Bismuth subcitrate
2. Sucralfate
3. Metronidazole
4. moxycillin

Correct answer: 2. Sucralfate